Which of these has the max natural source of vitamin A?
1. Carrot
2. Halibut liver oil
3. Cod fish oil
4. Cow milk

Correct answer: 2. Halibut liver oil

Explanation: Halibut Liver Oil has the maximum natural content of Vitamin A & also it has the richest source of the Vitamin D. Among fruits Ripe Mango & among vegetables carrot have high content of Vitamin A. Vitamin A deficiency causes Xerophthalmia.